Enamel etching produces
1. Two patterns
2. Three patterns
3. Four patterns
4. One pattern

Correct answer: 2. Three patterns